General sensation and taste sensation to the posterior one third of the tongue is mediated by:
1. Hypoglossal nerve and glossopharyngeal nerve
2. Vagus only
3. Glossopharyngeal nerve only
4. Lingual nerve and facial

Correct answer: 3. Glossopharyngeal nerve only

Explanation: Sensory supply of tongue : Anterior 2/3rd ( from 1st arch) Posterior 1/3rd (from 3rd arch ) From the valeculla (from 4th arch) General sensations Via Lingual nerve Glossopharyngeal nerve Internal laryngeal branch of superior laryngeal nerve (vagus) Special sensations Except circumvallate papillae chorda tympani (facial nerve) Including circumvallate papillae glossopharyngeal nerve Internal laryngeal branch of superior laryngeal nerve (vagus)